A patient with Hypertension presents with Hypokalemia. Aldosterone levels and Renin levels are both elevated. The most likely diagnosis is
1. Renal Artery stenosis
2. Primary Hyperaldosteronism {Conn's syndrome}
3. Addison's disease
4. Cushing's syndrome

Correct answer: 1. Renal Artery stenosis

Explanation: Answer- A. Renal Artery stenosisThe association of High aldosterone and High Renin levels in a hypertensive patient with hypokalemia suggests a diagnosis ofSecondary Hyperaldosteronism of from Renal Artery Stenosis.